Pneumatocele is caused by?
1. Staphylococcus aureus
2. Streptococcus pyogenes
3. Hemophilus parainfluenzae
4. Mycoplasma pneumoniae

Correct answer: 1. Staphylococcus aureus

Explanation: Ans. A. Staphylococcus aureus* S. aureus is a cause of serious respiratory tract infections in newborns and infants; these infections present as shortness of breath, fever, and respiratory failure.* Chest X-ray may reveal pneumatocele (shaggy, thin- walled cavities). Pneumothorax and empyema are recognized complications of this infection.